Gastroesophageal reflux disease confirmed by:
1. Manometry
2. Upper gastrointestinal endoscopy
3. 24 hr pH monitoring
4. Barium meal

Correct answer: 3. 24 hr pH monitoring

Explanation: Ans C.24 hr pH monitoringExplanationInvestigation for gastroesophageal reflux disease (GERD)RadiographyBarium radiology is, however, inaccurate in the diagnosis of gastroesophageal reflux, unless reflux is gross.CT to differentiate from neoplasms EndoscopyUpper gastrointestinal endoscopy is most appropriate examination if GERD is associated with dysphasiaEsophageal manometryPressure of lower esophageal shincture is also required24 hour pH and combined pH impedance monitoringGold standard for diagnosis